Neovascular glaucoma can occur in all except:
1. Diabetes mellitus
2. Hypertension
3. CRAO
4. CRVO

Correct answer: 2. Hypertension

Explanation: Ans. Hypertension The three most common predisposing conditions for NVG are diabetic retinopathy (DR) (33%), ischemic CRVO (33%) and the ocular ischemic syndrome (13%). Other forms of retinal vascular diseases resulting in significant ischemia , intraocular neoplasms, chronic retinal detachment and severe intraocular inflammation are among the numerous disorders that cause anterior-segment NV.